Sunflower seeds are good source of all of the following, EXCEPT:
1. B complex vitamins
2. Vitamin E
3. Vitamin A
4. Selenium

Correct answer: 3. Vitamin A

Explanation: "Sunflower seeds are unusually rich in B- complex vitamins. Sunflower seeds also contain a potent antioxidant team of selenium and vitamin E and are significantly deficient in vitamin A. Active form of vitamin A (retinol) is found in animal products such as milk, egg yolk, fish, and liver. The precursor of vitamin A (beta- carotene) can be obtained from fruit and vegetables, and converted to the active form in the body. Tomato is good source of vitamins especially vitamin A and C. Ref: Harrison, 18/e, chapter 74